If a mother is donating here kidney to her son.This is an example of
1. Autograft
2. Allograft
3. Isograft
4. Xenograft

Correct answer: 2. Allograft

Explanation: Types of Graft: - * Allograft:- An organ or tissue transplanted from one individual to another * Isograft:- Organs transplanted between identical twins and are immunologically indistinguishable * Autograft:- Organ or tissue transplanted with in same individual, e.g. skin graft, bone graft and free flap * Xenograft:- A graft performed between different species Ref:- Surgery Sixer 3rd Edition; Pg num:- 142